All of the following statements about pralidoxime in organophosphate poisoning are true except:-
1. It is given intravenously
2. It should be started after 24 hours of poisoning
3. It does not cross blood brain barrier
4. Reactivates the AChE enzyme

Correct answer: 2. It should be started after 24 hours of poisoning

Explanation: Organophoshate poisoning - AchE (inhibit Acetyl cholinestrase enzyme) Atropine is drug of choice for organophosphate poisoning Atropine reverses the symptom by blocking receptors Organophosphate poisoning DRUG OF CHOICE- Atropine | | Pralidoxime | | Reactivate Inhibit Receptors Ache enzyme All the oximes are given Intra venously PAM (Pralidoxime ) - periphery (do not cross blood brain barrier) DAM (Diacetyl monoxime) - both in the brain and outside the brain Oximes should be started as soon as possible after atropine is given If we take long time enzyme aging may occur (enzyme cannot work)